Painful ulcers over genitalia are caused by –
1. Primary syphilis
2. Granuloma inguinale
3. Chancroid
4. LGV

Correct answer: 3. Chancroid